WHO defi nes adolescent age between -
1. 10-19 years
2. 10-14 years
3. 10-25 years
4. 9-14 years

Correct answer: 1. 10-19 years

Explanation: Ans. is 'a' i.e., 10-19 years o Adolescence is usually the period 10 to 20 yr.